Human anatomical wastes arc treated,'disposed by -
1. Autoclaving
2. Chemical disinfection
3. Incineration
4. Microwaving

Correct answer: 3. Incineration

Explanation: Ans. is 'c' i.e., Incineration Human anatomical wastes such as human tissues, organs, and body parts are classified as Waste Category No. 1They are disposed in 'plastic bags' with a \yellow color code' and treated by 'Incineration or deep burial'.Colour codingType of containerWaste categoryTreatment options as per Scedule iYellowPlastic bagCat. 1, Cat. 2 and Cat. 3, Cat 6Incineration /deep burialRedDisinfected container/ plastic bagCat 3, Cat. 6, Cat. 7Autoc lavi ng/microw aving/Chemical TreatmentBlue/White translucentPlastic bag'puncture proof container Cat. 4, Cat. 7.Autoclaving'Microwaving'Chemical Treatment and Destruction/ Shredding Disposal in secured landfillBlackPlastic bagCat. 5 and Cat. 9 and Cat. 10 (solid) OptionWaste Category':Treatment and disoosalCategory no. 1Human Anatomical waste (human tissues, organs, body parts)Incineration/Deep burialCategory no. 2Animal waste (animal tissue, organs of body parts, carcasses, bleeding parts, fluids, blood and experimental animals used in research, waste generalated by veterinary hospitals colleges, discharge from hospitals, animal house)Incineratian/Deep burialCategory no. 3Microbiology and Biotechnology Waste (waste from laboratory'cultures stocks or specimens of micro-organisms, live or attenuated vaccines, human and animal cell culture used in research and infectious agents from research and industrial laboratories, waste from production of biological, toxins, dishes and devices and for transfer of cultures)Localautoclaving'microwaving.'IncinerationCategory No. 4Waste sharps (needles, syringes, scalpes, blades, glass etc, that may cause puncture and cuts. This includes both used and unused sharps.)Disinfection (chemical treatment/autoc laving/ microwaving and multiliatioin/ shredding)Category No. 5Discarded medicines and Cytotoxic drugs (wastes comprising of outdated, contaminated and discarded medicines)Incineration destruction and rugs disposal in secured landfillsCategory' No. 6Solid waste (items contaminated with blood, and fluids including cotton, dressing, soiled plaster casts, linen, beddings, other material contaminated with blood!Incineration autoclaving'' microwavingCategory No. 7Sol id (waste generated from disposal items other than the waste sharps such as tubings, catheters, intravenous sets etc.)Disinfection by chemical treatment autoclaving1' microwaving and multilalion/ shreddingCategory No. 8Liquid waste (waste generated from laboratory and washing, cleaning, housekeeping and disinfecting activities)Disinfections by chemical treatment and discharge into drainsCategory No. 9Incineration ash (ash from incineration of any bio-medical waste)Disposal in municipal landfillCategory No. 10Chemical used in production of biologicals, chemicals and in disinfections, as insecticides etc.Chemical treatment and discharge into drains for liquids secured landfill for solids.